Left Pleural effusion is detected best in which position:
1. Supine
2. Axial
3. Left lateral decubitus
4. Right lateral decubitus

Correct answer: 3. Left lateral decubitus

Explanation: Ans. C: Left Lateral decubitusA lateral decubitus view obtained with a horizontal X-ray beam is the most sensitive radiographic projection for detecting an effusion.A small amount of fluid (10-25 mL) can be depicted on this projection.The layering fluid can easily be detected as a dependent, sharply defined, linear opacity separating the lung from the parietal pleural and chest wall.The parietal pleura-chest wall margin can be identified as a line connecting the inner apices of the curvature of the ribs